Secondary glaucoma following corneal perforation is due to:
1. Central anterior synechiae formation
2. Peripheral anterior synechiae
3. Intraocular haemorrhage
4. Angle recession

Correct answer: 2. Peripheral anterior synechiae

Explanation: Ans. Peripheral anterior synechiae